Mother presents with pearly white lesions on forehead. She lives with her 2-year-old daughter, also having similar lesions. What can be the causative agent?
1. Poxvirus
2. HSV
3. HPV
4. VZV

Correct answer: 1. Poxvirus

Explanation: Ans. a. PoxvirusMolluscum contagiosum lesions are flesh colored, dome-shaped and pearly in appearance. They are central umbilication (with a dimpled center).Site: Children- face, arms, legs, torso and armpits.Adults: Genital region (considered to be a sexually transmitted infection), if genital lesions are found on a child, sexual abuse should be suspected.It is caused by poxvirus called the molluscum contagiosum virus (MCV). Types: MCV-1, MCV-2, MCV-3, MCV-4.Histology: Characterized by molluscum bodies in the epidermis, above the stratum basale, which consist of large cells with abundant granular eosinophilic cytoplasm (accumulated virions) and a small peripheral nucleus.